Ipratropium bromide used in Bronchial asthma, is
1. b - Sympothomimetics
2. Methylxanthines
3. Anticholinergics
4. Mast cell stabilizers

Correct answer: 3. Anticholinergics

Explanation: (Anticholinergic) (217-KDT 6th)CLASSIFICATIONS OF DRUGS USED IN Br, ASTHMAI- Bronchodilators A. b2 sympathomimetics -Salbutamol, Terbutaline, Bambuterol, Salmeterol, formoterol, EphedrineB. Methvlxanthines -Theophylline, Aminophylline, Choline, theophylline, DoxophyllineC. Anticholinergics -Ipratropium bromide**, Tiotropium bromideII. Leukotriene antagonists -Montelukast, ZafirlukastIII. Mast cell stabilizers -Sodium cromoglycate, KetotifenIV. Corticosteroids - A-SystemicHydrocortisone, Prednisolone and othersB. Inhalational -Beclomethasone, dipropionate, Budonide, Fluticasone propionate, Flunisolide, CiclesonideV. Anti-IgE antibody -Omalizumb